H5N1 is strain of -
1. An flu
2. New vaccine againts AIDS
3. Aent for japanese encephalitis
4. Causes chickengunya fever

Correct answer: 1. An flu

Explanation: H5N1 is the strain of an influenza REF:
MICROBIOLOGY ANANTHA NARAYANAN NINTH EDITION PAGE.502